Blow out fracture of orbit commonly involves:-
1. Floor is involved first
2. Medial wall is involved first as it is the thinnest
3. The patient is not able to look up due to superior rectus palsy
4. Roof is involved first as it bears the maximum impact

Correct answer: 1. Floor is involved first

Explanation: Blow out fracture of orbit Floor is involved first M.C fracture of orbit Force of blow cause a rise in intraorbital pressure with resultant fracture at the weakest point of orbital wall which is floor. THOUGH medial wall is thinnest but it is supported by ethmoid air cells which absorb pressure , thus it is not the most commonly fractured wall. Entrapment of inferior rectus in inferior wall fracture = not able to look up Features 1. Enophthalmous 2. Diplopia 3. Infra orbital nerve anesthesia